The engaging diameter in brow presentation is?
1. Mentovertical
2. Submentovertical
3. Suboccipitofrontal
4. Suboccipitobregmatic

Correct answer: 1. Mentovertical

Explanation: The engaging diameter of Brow presentation is mentovertical - 14 cm